Posterior cerebral artery supplies A/E
1. Pons
2. Midbrain
3. Thalmus
4. Striate cortex

Correct answer: 1. Pons

Explanation: Posterior cerebral artery supplies occipital, temporal, thalamus, lentiform nucleus, pineal, medial geniculate body, choroid plexus of inferior horn of lateral ventricle, 3rd ventricle, midbrain Ref: Gray's 40e/p-252